Sclerotherapy failure is defined as
1. Unresponsiveness to consecutive 2 energy sclerotherapies
2. Unresponsiveness to consecutive 3 energy sclerotherapies
3. Remnant bleeding even after sclerotherapy for successive 2 hospital admissions
4. Failure to heal after a single treatment

Correct answer: 1. Unresponsiveness to consecutive 2 energy sclerotherapies

Explanation: Failure of endoscopic treatment is declared when two sessions fail to control hemorrhage Ref: Sabiston 20th edition